Post term baby with tachypnea - commonest cause?
1. Transient tachypnea of newborn
2. Meconium aspiration syndrome
3. Hyaline membrane disease
4. Infection

Correct answer: 2. Meconium aspiration syndrome

Explanation: Ans. is 'b' i.e., meconium aspiration syndrome Transient Tachypnea of the Newborn Transient tachypnea of the newborn is the most common cause of neonatal respiratory distress, constituting more than 40 percent of cases.1 A benign condition, it occurs when residual pulmonary fluid remains in fetal lung tissue after delivery o Respiratory Distress Syndrome Respiratory distress syndrome of the newborn, also called hyaline membrane disease, is the most common cause of respiratory distress in premature infants Immature type II alveolar cells produce less surfactant, causing an increase in alveolar surface tension and a decrease in compliant Meconium Aspiration Syndrome Meconium-stained amniotic fluid occurs in approximately 15 percent of deliveries, causing meconium aspiration syndrome in the infant in 10 to 15 percent of those cases, typically in term and post-term infants Infection Bacterial infection is another possible cause of neonatal respiratory distress. Common pathogens include group B streptococci (GBS), Staphylococcus aureus, Streptococcus pneumoniae, and gram-negative enteric rods. Pneumonia and sepsis have various manifestations, including the typical signs of distress as well as temperature instability